Mudaliar committee is also know as
1. Health survey and Development committee
2. Health survey and Planning committee
3. Committee on Integration of health survives
4. Committee on multipurpose workers

Correct answer: 2. Health survey and Planning committee

Explanation: Bhore committee : Health surgery and Development committee.
Mudaliar committee : Health survey and Planning committee.
Jungalwalla committee : Committee on Integration of health survives.
Kartar signs committee : Committee on multipurpose workers under health and family planning.